The following are recognized features of pan-hypopituitarism except?
1. Increased insulin sensitivity
2. Pigmentation of the mucous membranes
3. Low serum thyroxine and TSH levels
4. Loss of secondary sex characters

Correct answer: 2. Pigmentation of the mucous membranes

Explanation: Since ACTH has a partial MSH(Melanocyte Stimulating Hormone) like activity and levels of ACTH in Pan-hypopituitarism will fall, the hyperpigmentation cannot occur. However diseases with Increased ACTH like Addison disease will show hyperpigmentation. Insulin sensitivity implies hypoglycemia. LH/FSH fall will cause loss of secondary sexual features.